Both PT and APTT are prolonged in
1. Factor II Deficiency
2. Thrombocytopenia
3. Factor VII Deficiency
4. Heparin Therapy

Correct answer: 1. Factor II Deficiency

Explanation: Answer is A (Factor II Deficiency) Prolongation of both PT and APPT is typically seen in deficiency of factors involved in the common pathway, namely factor II, factor V and factor X (and fibrinogen). Heparin in clinical concentrations is typically associated with isolated prolongation of APTT while PT is normal because heparin acts on the intrinsic pathway. (However Heparin at very high concentrations within the sample may cause prolongation of both PT & APTT). Causes of Prolonged PT and APTT Coagulation Factor Deficiency (Factor II, V, X or fibrinogen) Use of oral anticoagulants (Warfarin) Disseminated Intravascular coagulation Severe vitamin K deficiency Liver Disease (Severe Hepatic Insufficiency) Heparin in sample (at high concentrations only) (Heparin is typically associated with prolonged APTT & normal PT)